The following is not a feature of Alzheimer's disease
1. Neurofibrillary tangles
2. Senile plaques
3. Amyloid angiopathy
4. Lewy bodies

Correct answer: 4. Lewy bodies

Explanation: Reference Robbins page no 1290